All are true about dengue except -
1. Aedes aegypti is the vector
2. Caused by flavivirus
3. Malnutrition is protective
4. Lamivudine is the drug of choice

Correct answer: 4. Lamivudine is the drug of choice

Explanation: Lamivudine is not the drug of treatment. REF. PARK'S TEXTBOOK OF PREVENTIVE AND SOCIAL MEDICINE 21ST EDITION. PAGE NO - 228